Gateway of tears is:
1. Rathke pouch
2. Sinus of morgagni
3. Killians dehiscence
4. Pharyngeal bursa

Correct answer: 3. Killians dehiscence

Explanation: Killians dehiscence is also called 'gateway of tears'